Absence of lacrimation is seen in which nerve injury
1. Nasociliary nerve
2. Greater petrosal nerve
3. Supraorbital nerve
4. Infraorbital/Ethmoidal nerve

Correct answer: 2. Greater petrosal nerve

Explanation: B i.e. Greater petrosal